All of the following Vibrio sp. are halophilic, except -
1. V. cholerae
2. V. parahaemolyticus
3. V. alginolyticus
4. V. fluvialis

Correct answer: 1. V. cholerae

Explanation: Ans. is 'a' i.e., V. cholerae Halophilic vibrios -Vibrios that have a high requirment of sodium chloride are known as halophilic vibrios. They are abundant in coastal water throughout the world. Examples are - - Remember simple funda. "Except for Vcholerae and Vmimicus, all vibrios are halophilic" - Harrison 161h/e p. 909 Note : Vibio alginolyticus is the most salt tolerant species